A girl presents with primary amenorrhoea with normal breast, hirsutism and acne. She most probably has:-
1. Klinefelter syndrome
2. PCOD
3. Turner's syndrome
4. Gonadal dysgenesis

Correct answer: 2. PCOD

Explanation: Polycystic ovarian syndrome was originally described in 1935 by Stein & Leventhal as a syndrome manifested by amenorrhea , hirsutism and obesity associated with enlarged polycystic ovaries, It is the most common endocrine disorder in women of reproductive age.